M/C uterine malformation associated with renal anomalies:
1. Bicornuate
2. Unicornuate
3. Septate
4. Didelphys

Correct answer: 2. Unicornuate

Explanation: Ans. is b, i.e. UnicornuateRef: Leon Speroff 8th/ed, pt46"Approximately 40% of patients with a unicornuate uterus will have a urinary tract anomaly (usually of kidney) - Ref: Leon Speroff 8th/ed, p146